Anaemia produced by phenytoin
1. Iron deficiency
2. No anaemia
3. Megaloblastic
4. Sickle cell

Correct answer: 3. Megaloblastic

Explanation: Megaloblastic as it causes mild folic acid deficiency. Ref: KD Tripathi 8th ed.,